Activity of which of the following enzyme is NOT affected by insulin:
1. Pyruvate kinase
2. Glycogen synthase
3. Hexokinase
4. Glucokinase

Correct answer: 3. Hexokinase

Explanation: Hexokinase

Transfer Phosphate group from ATP to Glucose.
Has high affinity for glucose (Or Lower Km) and not affected by insulin.
Mg2+ is the cofactor.
Irreversible step.
ATP is utilized.

Glucokinase

Present in Liver and Pancreatic β cells.
Has low affinity for Glucose. (High Km).
Hence acts only when blood glucose is very high  (> 100 mg/dl).
Induced by Insulin following a meal.
Play  an  important  role  in  regulation  of  blood glucose.
In the liver, function of Glucokinase is to remove glucose from portal vein following a meal
In the beta cells of Pancreas, function of Glucokinase is to release Insulin. 

Glycogen Synthase
Insulin favor Glycogenesis by dephosphorylating, Glycogen Synthase.
Key concept: